Most common lymph node involved in Hodgkin's lymphoma is
1. Inguinal
2. Cervical
3. Axillary
4. Sub-clavicular

Correct answer: 2. Cervical

Explanation: Answer is B (Cervical) The most common lymph nodes involved in Hodgkins Lymphoma are the cervical lymph nodes. The most common lymph nodes involved in Hodgkin's Lymphoma are cervical lymph nodes and supraclavicular lymph nodes (60-70%) 'Detection of an unusual mass or swelling in the superficial, supra-diaphragmatic lymph nodes (60-70% cervical and supraclavicular, 15-20% axillary) is the most common presentation of Hodgkin's Lymphoma. Only 15 to 20 percent of patients have sub-diaphragmatic disease at presentation' -- William's Manual of Hematology